Floating tooth sign is seen in:
1. Dentigerous cyst
2. Periapical cyst
3. Aphthous ulcers
4. Histiocytosis x

Correct answer: 4. Histiocytosis x

Explanation: Floating tooth sign is seen with Histiocytosis x, because of erosion of bonyalveoli around the teeth.